Drug of choice for bacterial vaginosis is :
1. Metronidazole
2. Ampicillin
3. Ciprofloxacin
4. Fluconazole

Correct answer: 1. Metronidazole